Moth eaten bone is ?
1. Osteoid osteoma
2. Multiple myeloma
3. Eosinophilic granuloma
4. Chondromyxoid fibroma

Correct answer: 2. Multiple myeloma

Explanation: Ans. is 'b' i.e., Multiple myeloma Patterns of bone destruction present in a lytic lesion ? Geographic : Sharp clearly defined margins. Less aggressive, benign. Eg: non ossifying fibroma, chondromyxoid fibroma, eosinophilic granuloma. Moth eaten appearance : Holes in destroyed bone. Rapid growth, malignant Eg: Myeloma, metastasis, lymphoma. Permeative : Ill defined, diffuse, somewhat subtle destructive process of bone. Eg: Lymphoma, leukemia, Ewing's sarcoma, osteomyelitis.